Posterior wall of axilla is formed by all EXCEPT:
1. Teres major
2. Subscapularis
3. Supraspinatus
4. Latissimus dorsi

Correct answer: 3. Supraspinatus

Explanation: Ans. (c) SupraspinatusRef: BDC 6th ed. vol. I/47; Gray's Anatomy, 39th ed/ 841 Boundaries of Axilla* ANTERIOR WALL: Pectoralis major, Pectoralis minor, Clavipectoral fascia* POSTERIOR WALL: Subscapularis, Teres major, Latissimus dorsi* MEDIAL WALL: first 4 ribs & their associated intercostals muscles, Serratus anterior* LATERAL WALL: Intertubercular (bicipital groove), Biceps tendon.